The ganglion that supplies secretomotor nerve fibres to lacrimal gland?
1. Pterygopalatine ganglion
2. Ciliary ganglion
3. Otic ganglion
4. Superior cervical ganglion

Correct answer: 1. Pterygopalatine ganglion

Explanation: Ans. a (Pterygopalatine ganglion) (Ref. BD Chaurasia, Anatomy, Vol 3, 2nd ed., 48)# Lacrimal nerve, which has both sensory and secretomotor fibres, supplies lacrimal gland.# The secretomotor fibres starts in lower pons >> pass through nervus intermedius >> geniculate ganglion >> greater petrosal nerve >> nerve of pterygoid canal >> Ptyregopalatine ganglion >> zygomatic nerve >> zygomatico-temporal nerve >> communicating branch of lacrimal nerve >> Lacrimal gland.# Branches of pterygopalatine ganglion are orbital branch, greater & lesser palatine nerves, nasal & pharyngeal branch. GanglionImportant FeaturesCiliary Ganglion# Preganglionic parasympathetic fibers from the Edinger-Westphal nucleus travel on the oculomotor nerve and synapse at the ciliary ganglion.# Postganglionic fibers from the ciliary ganglion join the short ciliary branches of the ophthalmic division of the trigeminal nerve to reach the ciliary muscle and the sphincter pupillae muscle of the eye.Pterygopalatine Ganglion# Preganglionic parasympathetic fibers from the lacrimal nucleus travel on the greater superficial petrosal branch of the facial nerve and synapse at the pterygopalatine ganglion.# Postganglionic fibers from the pterygopalatine ganglion join branches of the maxillary division of the trigeminal nerve to reach the lacrimal gland and mucous glands of the nose and mouth.Submandibular Ganglion# Preganglionic parasympathetic fibers from the superior salivary nucleus travel on the chorda tympani branch of the facial nerve and synapse at the submandibular ganglion.# Postganglionic fibers from the submandibular ganglion join the lingual branch of the mandibular division of the trigeminal nerve to reach the submandibular and sublingual salivary glands.Otic Ganglion# Preganglionic parasympathetic fibers from the inferior salivary nucleus travel on the lesser superficial petrosal branch of the glossopharyngeal nerve and synapse at the otic ganglion.# Postganglionic fibers from the otic ganglion join the auriculotemporal branch of the maxillary division of the trigeminal nerve to reach the parotid gland.Visceral Ganglia# The vagus nerve is the only cranial nerve that leaves the head and neck.# It carries preganglionic parasympathetic fibers to the rest of the body, with the exception of the pelvic organs and organs associated with the hindgut.# These fibers synapse at ganglia in the walls of the organ being innervated, from where short postganglionic fibers serve their secretomotor role. Educational points: # The ciliary ganglion is connected with:# Ophthalmic nerve;# The sphenopalatine ganglion is connected with:# Maxillary nerve; and# The otic and submaxillary ganglia is connected with:# Mandibular nerve.# Parotid gland receives nerve supply from otic ganglion vai# auriculotemporal nerve.